Sezary-Lutzner cell is characterized by all of the following except
1. Malignant CD 8 T-cell
2. Hyperconvoluted cerebriform nucleus
3. Hallmark of mycosis fungoides
4. Mostly affects older population more than 40 years

Correct answer: 1. Malignant CD 8 T-cell

Explanation: Sezary-Lutzner cell is malignant CD4+T helper cells. Rest all the statements are true.